Which of the following is true about functions of paraventricular and supraoptic nuclei?
1. Regulate water balance
2. Produce oxytocin and ADH respectively
3. Destruction can lead to diabetes insipidus
4. All of the above

Correct answer: 4. All of the above

Explanation: Paraventricular and supraoptic nuclei:

Regulate water balance.
Produce ADH (Supraoptic) and oxytocin (Paraventricular) which are stored in posterior pituitary.
Destruction causes diabetes insipidus.
Paraventricular nucleus projects to autonomic nuclei of brainstem and spinal cord.